One week after an extended hysterectomy, the patient leaks urine per vaginum. In spite of the leakage, she has to pass urine from time to time. The most likely cause is :
1. Vesico-vaginal fistula
2. Ureterovaginal fistula
3. Stress incontinence
4. Overflow incontinence

Correct answer: 2. Ureterovaginal fistula

Explanation: Ureterovaginal fistula